Which of the following is the most common complication of immunosuppression
1. Graft rejection
2. Malignancy
3. Thrombocytopenia
4. Infection

Correct answer: 4. Infection

Explanation: Immunosuppressive therapy impairs the protective response to both malignancy and infection. Consequently, pre-existing malignancy is an absolute contraindication and, even after curative treatment, transplantation should not usually be considered for at least 3 years. Similarly, the presence of active infection is a contraindication to transplantation In immunosupressive states , infection is the most common complication due to weakened immune systems . Ref Bailey and love 27e Transplantations chapter p1541